The relation between current, electromotive forces and resistance in a circuit by Ohm's law is stated as
1. i = E/R
2. i = R/E
3. i = RE
4. All of the above

Correct answer: 1. i = E/R

Explanation: Ohm’s law
For electric current flow
i = E/R
For blood flow
Q= ΔP/R